Not true about Triad of hemobilia:
1. GI bleeding
2. Fever
3. Jaundice
4. Colicky pain

Correct answer: 2. Fever

Explanation: HEMOBILIA Bleeding into the biliary tract from an abnormal arterial source to intrahepatic biliary tract fistula Etiology - Iatrogenic trauma (PTC) is the MC Cause. Characterized by Quincke's triad (Sandblom's triad): GI hemorrhage + biliary colic + jaundice. Presentation: Melena (90%), hematemesis (60%), biliary colic (70%), and jaundice (60%)